Nucleus of an atom contains:
1. Electrons
2. Only protons
3. Electrons and protons
4. Protons and neutrons

Correct answer: 4. Protons and neutrons

Explanation: Ans. Protons and neutrons